Which of the following statement is true about Hb-O2
 dissociation curve?
1. Fetal Hb shifts curve to left
2. Hypothermia shifts curve to right
3. Hypercarbia shifts curve to left
4. Left shift cause more O2 release

Correct answer: 1. Fetal Hb shifts curve to left